All are seen in hypersplenism except
1. Anemia
2. Thrombocytopenia
3. Splenomegaly
4. Hypocellular bone marrow

Correct answer: 4. Hypocellular bone marrow

Explanation: Hypersplenism Characterised by splenic enlargement, any combination of anemia, leucopenia or thrombocytopenia, compensatory bone marrow hyperplasia & improvement after splenectomy Careful clinical judgement is required to balance the long- and short-term risks of splenectomy against continued Conservative management Ref: Sabiston 20th edition Pgno : 1562